Which of the following drugs acts by inhibiting cell wall synthesis ?
1. Erythromycin
2. Cephalosporins
3. Chloramphenicol
4. Sulfonamides

Correct answer: 2. Cephalosporins